The most common cause of Volkmann's ischaemic contracture (V.I.C) in a child is:
1. Intercondylar fracture of humerus
2. Fracture both bone of forearm
3. Fracture lateral condyle of humerus
4. Supracondylar fracture of humerus

Correct answer: 4. Supracondylar fracture of humerus

Explanation: D i.e. Supracondylar fracture humerus